Which of the following is true about fourth heart sound S4
1. Can be heard by the unaided ear
2. Frequency is greater than 20 Hz
3. Heard during ventricular ejection phase
4. None of the above

Correct answer: 4. None of the above